T.U.R. (transurethral resection) syndrome is due to ?
1. Hyponatremia
2. Hypokalemia
3. Hypovolaemia
4. Hypoxia

Correct answer: 1. Hyponatremia

Explanation: Ans. is 'a' i.e., Hyponatremia TUR syndrome and water intoxication syndrome are same. They are caused due to dilutional hyponatremia.